Maltase hydrolyze maltose to form:
1. Glucose
2. Glucose and galactose
3. Glucose and fructose
4. Galactose and fructose

Correct answer: 1. Glucose

Explanation: Ans. A. GlucoseMaltase hydrolyzes maltose to form glucose. Because maltose does not contain galactose or fructose, none of the other choices is correct.